True statement regarding nitrates in myocardial perfusion study:-
1. Stress agent
2. Decreased myocardial flow in ischemia
3. Enhances the detection of myocardial viability in Thallium 201 radiopharmaceutical agent
4. Reduced collateral flow into ischemic zone

Correct answer: 3. Enhances the detection of myocardial viability in Thallium 201 radiopharmaceutical agent

Explanation: Nitrates in myocardial perfusion study Enhances the detection of myocardial viability in Thallium 201 radiopharmaceutical agent Causes increased myocardial flow in ischemia Increases collateral flow into ischemic zone Stress agents used in myocardial perfusion study Dobutamine Adenosine To study Myocardial viability 18-FDG PET (best agent) Nitrate augmented Thallium 201 Scintigraphy Dynamic contrast enhanced MRI